A person has been brought in casualty with history of road accident. He had lost consciousness transiently and gained consciousness but again became unconscious. Most likely, he is having brain hemorrhage of
1. Intracerebral
2. Subarachnoid
3. Subdural
4. Extradural

Correct answer: 4. Extradural

Explanation: Lucid interval' is a classical feature of extradural hemorrhage. Ref : Sabiston, 17/e p755